The following chest X-ray findings are all suggestive of malignancy except:
1. Umbilicated surface
2. Spiculated surface
3. Peripheral cavitation
4. Diffuse calcification

Correct answer: 4. Diffuse calcification

Explanation: Ans. Diffuse calcification